Metabolites in HMP shunt are all except
1. Glycerol–3 phosphate
2. Sedoheptulose–7 phosphate
3. Glyceraldehyde–3 phosphate
4. Xylulose–5 phosphate

Correct answer: 1. Glycerol–3 phosphate

Explanation: Glycerol-3 phosphate 

Glyceraldehyde-3-phosphate is produced (not glycerol-3-phosphate).
Metabolites in HMP shunt
Oxidative phase:- Glucose-6-phosphate → 6-phosphogluconate → Ribulose-5-phosphate.
Non-oxidatative phase :- Xylulose-5-phosphate, Ribose-5-phosphate, sedoheptulose-7-phosphate, erythrose-4-phosphate, fructose-6-phosphate, glucose-6-phosphate, glyceraldehyde-3-phosphate.